What happens to Haptoglobin level in hemolytic anemia?
1. Haptoglobin levels increase
2. Haptoglobin levels decrease
3. Remains the same
4. May increase or decrease depending on chronicity of the disease

Correct answer: 2. Haptoglobin levels decrease

Explanation: Haptoglobin binds to free hemoglobin and it gets cleared from the plasma. So the level of haptoglobin falls rapidly in situations where hemoglobin is constantly being released into circulation.